Cone biopsy is indicated in all the following conditions except :
1. Indefinite diagnosis on colposcopy
2. CIN-III
3. Cervical metaplasia
4. Microinvasive carcinoma

Correct answer: 3. Cervical metaplasia

Explanation: Ans. is c i.e. Cervical metaplasia ications of Cone bi biopsy or conization is both Diagnostic as well as therapeutic procedure. Complications of cone biopsyCone : Diagnostic Therapeutic Limits of the lesion can not be visualised with coloposcopy.deg The squamo-columnar junction is not seen at colposcopydeg In endocervical curettage - histological findings are positive for CIN-II or CIN - IIIdeg Micro invasive carcinoma or adenocarcinoma in situ is suspected based on biopsy, colposcopy or cytology results Lack of correlation between cytology, biopsy & colposcopy results Infectiondeg A Cervical stenosisdeg Incompetent osdeg Conisation for a lesion grossly suggestive of invasive cancer is not indicated, as it predisposes the patient to serious pelvic infections and bleeding. The diagnosis is confirmed by a simple biopsy / colposcopic directed biopsy. Remember : Spread of malignancy is not a complication of cone biopsy. Extra edge : AgNOR : It is a new molecular tumor marker which stands for silver stained nucleolar organizer DNA is present in dysplastic cells. They appear as black dots which increase in number but decrease in sizze with advancing dysplasia. The lesions with low counts often regress, whereas those with high counts progress and need treatment.